Singer's nodule is MOST common seen at:
1. Junction of ant 2/3 and post 1/3 of vocal cords
2. Junction of ant 1/3 and post 2/3 of vocal cords
3. Any where
4. Middle of ant 1/3 and 2/3 of vocal cords

Correct answer: 2. Junction of ant 1/3 and post 2/3 of vocal cords

Explanation: Singers nodules are commonly seen at the junction of the anterior one third and posterior two third of the vocal cord. This site corresponds to the middle of the membranous cords and represents the maximum point of vibratory impact during speaking and singing. Singers nodule represents a non neoplastic, vascular stromal reaction primarily to vocal abuse. They affect both sexes and all age groups with a peak incidence between 20 and 50 years of age. Symptoms usually range from breaking of voice to hoarseness. Indirect laryngoscopy is used to confirm the diagnosis. At laryngoscopy the nodules appear as white, pearly gray, tan or red growths that rarely exceed 15 mm in greatest dimension.